Joint erosions are not a feature of
1. Rheumatoid arthritis
2. Psoriatic arthritis
3. Gout
4. Systemic lupus erthematosus

Correct answer: 4. Systemic lupus erthematosus

Explanation: Ref Semantischolar.org